All are associated with Wernicke's encephalopathy except
1. Cog wheel rigidity
2. Alteration in mental function
3. 6th nerve palsy
4. Ataxia

Correct answer: 1. Cog wheel rigidity

Explanation: Wernicke's encephalopathy This is an acute reaction to a severe deficiency of thiamine, the commonest cause being chronic alcohol use. Characteristically, the onset occurs after a period of persistent vomiting. The important clinical signs are: i. Ocular signs: Coarse nystagmus and ophthalmoplegia, with bilateral external rectus paralysis occurring early. In addition, pupillary irregularities, retinal haemorrhages and papilloedema can occur, causing an impairment of vision. ii. Higher mental function disturbance: Disorientation, confusion, recent memory disturbances, poor attention span and distractibility are quite common. Other early symptoms are apathy and ataxia. Peripheral neuropathy and serious malnutrition are often co-existent. Neuropathologically, neuronal degeneration and haemorrhage are seen in the thalamus, hypothalamus, mammillary bodies and midbrain. Ref: A Short Textbook of Psychiatry, Niraj Ahuja, 7th Edition, pg. no.38